All of the following are associated with low complement levels except
1. Lupus nephritis
2. Mesangio capillary glomerulonephritis
3. Diarrhea-associated hemolytic uremic syndrome
4. Post-infections glomerulonephritis

Correct answer: 3. Diarrhea-associated hemolytic uremic syndrome

Explanation: Causes of glomerulonephritis associated with low serum complement - Post-infection glomerulonephritis- Subacutebacterialinfection: especially endocarditis- Systemic lupus erythematosus- Cryoglobulinaemia- Mesangiocapillaryglomerulonephritis, usually complementRef: Davidson's 22/e p501